Gene mutations in Cystic fibrosis occurs at
1. Short arm of chromosome 7
2. Long arm os chromosome 5
3. Long arm of chromosome 7
4. Short arm of chromosome 3

Correct answer: 3. Long arm of chromosome 7